First to be developed is ?
1. Neural pit
2. Neural groove
3. Neural fold
4. Primitive streak

Correct answer: 4. Primitive streak

Explanation: Ans. is 'd' i.e., Primitive streako First event in the stage of trilaminar disc stage is formation of primitive streak. o Other three options are formed in the process of neurulation.Trilaminar germ disc stageAge (in days) Developmental events15 Primitive streak appears Definitive yolk sac is formed17 Notochord process appears Heart tube is seen in cardiogenic area Allantoic diverticulum is seen19 Intraembryonic mesoderm is formed Connecting stalk can be distinguished21 Neural groove is seen Head fold begins to form23 Closure of neural tube